A nucleoside consists of:
1. Nitrogenous base
2. Purine or pyrimidine base + sugar
3. Purine or pyrimidine base + phosphorous
4. Purine + pyrimidine base + sugar + phosphorous

Correct answer: 2. Purine or pyrimidine base + sugar

Explanation: Ans. B. Purine or pyrimidine base + sugarposition of nucleotides = Sugar + Base + Phosphate Composition of nucleosides = Sugar + Base. No phosphate is present.